Normal hilar shadow in X-ray chest is produced by all except
1. Pulmonary artery
2. Bronchus
3. Lower lobe viens
4. Upper lobe veins

Correct answer: 3. Lower lobe viens

Explanation: C i.e. Lower lobe veins The lower lobe pulmonary veins do not cross the hila in their course to the left atrium and therefore do not contribute to the hilar shadow. The hila is formed by? Pulmonary arteries & their main branches (most imp.)Q Upper lobe pulmonary veins Q Major bronchi (contribute little) Lymph nodes (usually not seen)